A child presents with lid lag and an enlarged cornea with a diameter of 13mm. Examination of the eye reveals double contoured opacities concentric to the limbus. Which of the following is the most likely diagnosis -
1. Superficial keratitis
2. Deep keratitis
3. Thyroid Endocrinopathy
4. Congenital Glaucoma

Correct answer: 4. Congenital Glaucoma

Explanation: In congenital glaucoma corneal signs include *corneal enlargement alongwith enlargement of globe - Buphthalmos especially when onset is before age 3 yrs *corneal oedema *Haab's striae -Tears and breaks in Descemt's membrane Ref:Comprehensive ophthalmology-AK Khurana 6th edition chapter-10 page no:226